Which of the following muscles adducts the vocal cords?
1. Lateral cricoarytenoid.
2. Posterior cricoarytenoid.
3. Cricothyroid.
4. Vocalis.

Correct answer: 1. Lateral cricoarytenoid.

Explanation: Lateral cricoarytenoid. The oblique and transverse arytenoids and thyroartenoid also adduct the vocal folds. The posterior cricoarytenoids abducts the vocal cords. The cricothyroid muscle raises the cricoid cartilage and tenses the vocal cords.